A 16 year old student reported for the evaluation of multiple hypopigmented macules on the trunk and limbs.All of the following tests are useful in making a diagnosis of leprosy, except –
1. Sensation testing
2. Lepromin test
3. Slit smears
4. Skin biopsy

Correct answer: 2. Lepromin test